The following regarding colostomy are true except :
1. A colostomy is an artificial opening made in large Bowel to divert the faeces to the exterior
2. Temporary colostomy is established to defunction an anastomosi
3. Permanent colostomy is formed after the resection of Rectum by the abdominoperinea technique
4. Double barreled colostomy is commonly done nowadays

Correct answer: 4. Double barreled colostomy is commonly done nowadays

Explanation: • Bailey says “Double-barrelled colostomy was designed so that it could be closed by crushing the intervening ‘spur’ using an enterotome or a stapling device. It is rarely used now, but occasionally the colon is divided so that both ends can be brought to the surface separately, ensuring that the distal segment is completely defunctioned".
• May be colostomy or ileostomy.
• May be temporary or permanent.
• Temporary or defunctioning stomas are usually fashioned as loop stomas.
• An ileostomy is spouted; a colostomy is flush.
• Ileostomy effluent is usually liquid whereas colostomy effluent is usually solid.
• Ileostomy patients are more likely to develop fluid and electrolyte problems.
• An ileostomy is usually sited in the right iliac fossa.
• A temporary colostomy may be transverse and sited in the right upper quadrant.
• End-colostomy is usually sited in the left iliac fossa.
• All patients should be counseled by a stoma care nurse before operation.